Which one of the following would be the treatment of choice for HSV infection?
1. Acyclovir
2. Killed virus vaccine
3. Herpes immune globulin
4. Azithromycin

Correct answer: 1. Acyclovir

Explanation: Acyclovir is an analogue of guanosine or deoxyguanosine that strongly inhibits herpes simplex virus (HSV) but has little effect on other DNA viruses. When employed for the treatment of primary genital infection by HSV, both oral and intravenous formulations have reduced viral shedding and shortened the duration of symptoms.